The triad of diabetes, gallstones and steatorrhea is associated with which one of the following tumors ?
1. Gastrinomas
2. Somatostatinomas
3. VIPmas
4. Glucagonomas

Correct answer: 2. Somatostatinomas

Explanation: Triad of somatostatinoma: Diabetes,Steatorrhea, Cholecystolithiasis SRB,26th,710.